Maximum tolerable limit for heat is -
1. 30 HSI
2. 50 HSI
3. 80 HSI
4. 100 HSI

Correct answer: 4. 100 HSI

Explanation: Park's textbook of preventive and social medicine 23rd edition. *Heat stress index values - no thermal stress -30. _ moderate to mild heat strain -60 _ severe heat strain -90 _ very severe heat strain _ upper limit of heat tolerance.